All of the following structures forms the boundary of triangle of auscultation?
1. Trapezius
2. Latissimus dorsi
3. Rhomboids major
4. Medial border of scapula

Correct answer: 3. Rhomboids major

Explanation: The structures forming the boundary of triangle of auscultation are lower part of medial border of scapula laterally, lateral margin of trapezius medially, and latissimus dorsi below. Winging of scapula is a deformity in which the vertebral border and inferior angle of scapula protrude posteriorly due to paralysis of serratus anterior muscle.